Pseudomyxoma peritonei may occur as a consequence of which of these ovarian tumors?
1. Dermoid
2. Dysgerminoma
3. Serous cystadenocarcinoma
4. Mucinous cystadenocarcinoma

Correct answer: 4. Mucinous cystadenocarcinoma

Explanation: Pseudomyxoma peritonei A clinical term used to describe the finding of abundant mucoid or gelatinous material in the pelvis and abdominal cavity surrounded by fibrous tissue. Can cause severe Hypoproteinemia. MC Cause in Ovarian cancer:- Mucinous cystadenocarcinoma. MC Cause overall- Appendiceal Cancer